All are seen in gestational diabetes except
1. Previous macrosomic baby
2. Obesity
3. Malformations
4. Polyhydramnios

Correct answer: 3. Malformations

Explanation: Potential candidates for GDM Positive family history of diabetes Previous birth of an overweight baby >4 kg, Stillbirth, Unexplained perinatal loss Polyhydramnios Recurrent vaginal candidiasis Persistant glycosuria Age>30 years Obesity Ethnic group Reference: D.C.Dutta's Textbook of Obstetrics; 7th edition; Page no: 281